Actinomycosis most commonly affects
1. Thorax
2. Facio - cervical region
3. Liver
4. Pelvis

Correct answer: 2. Facio - cervical region

Explanation: Facio - cervical Actinomycosis is most common type.